A child draws circle at –
1. 12 months
2. 24 months
3. 30 months
4. 36 months

Correct answer: 4. 36 months